Salmon patch is seen in –
1. Interstitial keratitis
2. Disciform keratitis
3. Acne rosacea
4. Phlyctenular keratitis

Correct answer: 1. Interstitial keratitis

Explanation: Salman patch appearance of cornea is seen in Interstitial Keratitis.
Salman patches on retina is seen in non-proliferative sickle cell retinopathy.